A 45-year-old man presents with history of frequent falls. He has difficulty in looking down also. What is the most probable diagnosis :
1. Normal pressure hydrocephalus
2. Parkinson's disease
3. Alzheimer's disease
4. Progressive supranuclear palsy

Correct answer: 4. Progressive supranuclear palsy

Explanation: Answer is D (Progressive supranuclear palsy):